Carcinoma breast is least seen in
1. Superior outer quadrant
2. Inferior outer quadrant
3. Subareolar
4. Lower inner quadrant

Correct answer: 4. Lower inner quadrant

Explanation: .Most common site is upper outer quadrant (60%) because breast tissue is more in this quadrant.* Mutation of tumour suppressor genes BRCA1/ BRCA2 is thought to be involved with high risk of breast carcinoma. BRCA1 mutation is having more risk (35-45%) than BRCA2 mutation. It is located in long arm of chromosome 17, whereas BRCA2 is located in long arm of chromosome 13. * Occasionally mutation of BRCA3 and p53 suppressor gene is also involved. * Li-Fraumen's syndrome (LFS) is autosomal dominant condition with breast cancer inheritance (90%) along with sarcoma, leukemia, brain tumours, adrenocortical tumours. * Diet low with phytoestrogens and high alcohol intake have high risk of breast cancer. * It is more common in nulliparous woman. * Attaining early menarche and late menopause have high risk of breast malignancy. ref:SRB's manual of surgery,ed 3,pg no 467